In Scurvy, wimberger sign is best seen in:
1. Lower end of femur
2. Lower end of radius
3. Patella
4. Upper end of radius

Correct answer: 1. Lower end of femur

Explanation: Ans. Lower end of femur